Backening of eye most common because of -
1. Friction abrasion
2. Patterned abrasion
3. Imprint abrasion
4. Contusion

Correct answer: 4. Contusion

Explanation: The synopsis of forensic medicine & toxicology ; Dr .k.s.narayan reddy ; 28th edition ; Pg no . 107 Area around the eye is very delicate ,hence blackening of eye is most commonly due to contusion .Also called spectacle hematoma .It is caused due to direct trauma ,such as a punch in the eye or blunt impact to the forehead ,the blood gravitating downwards over the supra orbital bridge or due to the fracture of the floor of the anterior fossa of the skull .